Nitric oxide produces its anti–aggregatory action by increasing the levels of
1. cAMP
2. cGMP
3. ADP
4. Phosphoinositol

Correct answer: 2. cGMP